A 47-year-old woman is admitted to the hospital with pain in her neck. During physical examination it is observed that the thyroid gland is enlarged and is compressing the trachea. A biopsy reveals a benign tumor. A CT scan examination reveals tracheal deviation to the left. Which of the following structures will most likely be compressed as a result of the deviation?
1. Left brachiocephalic vein
2. Left internal jugular vein
3. Left subclavian artery
4. Vagus nerve

Correct answer: 1. Left brachiocephalic vein

Explanation: A left tracheal deviation with an enlarged thyroid gland will most likely compress the left brachiocephalic vein. The other answer choices lie too far laterally to be affected by the tracheal deviation.